Concomitant use of statin with the following drugs cause Rhabdomyolysis, except:
1. Macrolide antibiotic
2. Rifampin
3. Azoles (antifungal)
4. Fibrates

Correct answer: 2. Rifampin

Explanation: The drug which causes rhabdomyolysis with statins are: Macrolide Cyclosporine Ketoconazole HIV protease Tacrolimus Nefazodone Fibrates Ref: CDMT 09/742-43